65-year-old man presents with anemia, posterior columan dysfunction, and planter extensor. Which of the following is the likely cause
1. Tabes dorsalis
2. Frederich's ataxia
3. Vitamin B1 deficiency
4. Vitamin B 12 deficiency

Correct answer: 4. Vitamin B 12 deficiency

Explanation: Ans. is 'd' i.e., Vitamin B12 deficiency